Gout is a disorder of :
1. Purine metabolism
2. Pyrimidine metabolism
3. Oxalate metabolism
4. Protein metabolism

Correct answer: 1. Purine metabolism

Explanation: A i.e. Purine metabolism